Chronic pancreatitis complications include all except:
1. Renal artery stenosis
2. Pseudocyst
3. Splenic vein thrombosis
4. Fistulae

Correct answer: 1. Renal artery stenosis

Explanation: Ans. (a) Renal artery stenosisRef: Sabiston's Textbook of Surgery, 20th ed p-1533Complications of Chronic pancreatitis:* Pseudocyst* Splenic Vein thrombosis* Splenic Artery aneurysm* Jaundice (Wadsworth Syndrome - Dilated Bile duct due to obstruction by Chronic Pancreatitis)* Steatorrhea, Diarrhea* Left Portal hypertension